Which of the following is diagnostic of GDM by 75 g GTT as per NICE 2015 criteria?
1. FBG > 5.1 mmol/L
2. FBG > 7.0 mmol/L
3. Fasting blood glucose 5.6 mmol/L
4. 2 hr PP OGTT more than 5.8 mmol/L

Correct answer: 3. Fasting blood glucose 5.6 mmol/L

Explanation: Ans. is c, i.e. Fasting blood glucose 5.6 mmol/LNICE 2015 guidelines for diagnosing Gestational diabetesGestational DiabetesDiagnose gestational diabetes if the woman has either:-A fasting plasma glucose level of 5.6 mmol/litre or above or-A 2-hour plasma glucose level of 7.8 mmol/litre or above. Also know - Metabolic goals as per NICE 2015Advise pregnant women with any form of diabetes to maintain their capillary plasma glucose below the following target levels, if these are achievable without causing problematic hypoglycaemia:Fasting: 5.3 mmol/litre and1 hour after meals: 7.8 mmol/litre or2 hours after meals: 6.4 mmol/litre.